A young woman presented with infertility. Hysterosalpingogram shows beaded fallopian tubes with clubbing of the ampullary end. The most likely diagnosis is:-
1. Gonococcal infection
2. Chlamydial infection
3. Tuberculosis
4. Herpes genitalis

Correct answer: 3. Tuberculosis

Explanation: Genital tuberculosis is a known cause of infertility HSG features of Genital TB Lead pipe appearance Beaded tubes and variation in the filling Calcification of the tube Cornual block Tobacco-pouch appearance of Hydrosalpinx and pyosalpinx A jagged fluffiness of the tubal outline